Use of tamoxifen in carcinoma of breast patients does not lead to the following side effects -
1. Thromboembolic events
2. Endometrial Carcinoma
3. Cataract
4. Cancer in opposite breast

Correct answer: 4. Cancer in opposite breast